Cat 1 TB treatment -
1. HRZE
2. HRE
3. ZRE
4. HRZES

Correct answer: 1. HRZE

Explanation: Ans. is 'a' i.e., HRZE o Category ICategory IICategory III# Sew sputum smear positive# Seriously ill sputum smear negative.# Seriously ill extra pulmonary# Sputum smear positive relapse# Sputum smear positive failure.# Sputum smear positive t/t after default# Sputum smear negative not seriously ill# Extra pulmonary not seriously illTT2(HRZE)i + 4<HR)3T/T - 2(HRZES)3 + (HRZE), + 5(HRE),TT - 2 (HRZ)3+4(HR)3